True about boxer's attitude:
1. Similar to cadaveric spasm
2. Due to muscle protein coagulation
3. Always postmotem in nature
4. Always Antemortem in nature

Correct answer: 2. Due to muscle protein coagulation

Explanation: HEAT STIFFENING: If the body is subjected to heat exposure at > 65degC, rigidity is produced. Minimum temperature for producing burn is 44degC for 5-6 hours Mechanism: Muscle protein coagulationQ due to heat. Muscles are contracted Conditions: BurnsQ High voltage electric shock Attitude: The legs are flexed at the hips and knees, the arms are flexed at the elbows and held out in front of the body and the fingers are hooked like claws. Fate: The stiffening remains until decomposition. The normal rigor mortis does not occurQ in heat stiffening